Which of the following will be less during the overshoot of an action potential than during the resting state?
1. Membrane conductance for sodium
2. Membrane conductance for potassium
3. Transference for sodium
4. Transference for potassium

Correct answer: 4. Transference for potassium

Explanation: During an action potential, the conductance for both sodium and potassium is higher than it is at rest. However, the conductance for sodium is higher than the conductance for potassium during the over shoots. Hence, the transference for potassium is less. Recall that transference is a measure of an ion's relative conductance: TN. = gN.lCgN. + gK) and TK = gK/(gN. + gK) Where T = transference and g = conductance.